Liver in hemochromatosis is stained by which of the following stain
1. Perls iron stain
2. Alcian blue
3. Congo red
4. Masson trichome

Correct answer: 1. Perls iron stain

Explanation: Reference Robbins page no 849 In the liver iron becomes evident as golden yellow hemosiderin granules in the cytoplasm of peripheral Hepatocyte which stain blue with Prussian blue stain